The most serious side-effect of drug chloramphenicol is:
1. Candidiasis
2. Photosensitivity
3. Bone marrow depression
4. Angioneurotic oedema

Correct answer: 3. Bone marrow depression